Irrcluctive or uncontrollable impulse to perform an acts repetitively to drink alcohol is called:
1. Dipsomania
2. Kleptomania
3. Multimania
4. Polymania

Correct answer: 1. Dipsomania

Explanation: (Dipsomania): Ref: 36, 38, 124 - Neeraj Ahuja Psychiatry* Dipsomania: - Compulsion to drink alcohol* Kleptomania: - Pathological stealing* Trichotillomania: - Compulsive hair pulling* Pvromania: - Pathological fire - setting without an apparent motive* Nymphomania: - Excessive and compulsive need for coitus in a women* Satyriasis: - Excess and compulsive need for coitus in a man* Ritual: - Automatic activity compulsive in nature, anxiety reducing in origin.